The most common cause of painful pericarditis is
1. Viral
2. Tuberculous
3. Uraemic
4. All of these

Correct answer: 1. Viral

Explanation: The cause of pericarditis is believed to be most often due to a viral infection. Other causes include bacterial infections such as tuberculosis, uremic pericarditis, following a heart attack, cancer, autoimmune disorders, and chest trauma Ref: guyton and hall textbook of medical physiology 12 edition